Moist burn refers to:
1. Simple burns
2. Scalds
3. Electric burns
4. Thermal burns

Correct answer: 2. Scalds

Explanation: Ans. (B). ScaldsLocal effects of heat & cold:Dry heat: Flame burnsMoist heat: scaldsDry cold: Frost biteMoist cold: Immersion foot